IUCD with shortest life span :
1. Lippes loop
2. Copper - T
3. Multiload device
4. Progestasert

Correct answer: 4. Progestasert

Explanation: Progestasert